A 85 year old female developed multiple blisters on trunk and thighs. Nikolsky's sign negative. The lesions came on and off. The most probable diagnosis is
1. Pemphigus vulgaris
2. Bullous pemphigoid
3. Lichen planus
4. Lepra reaction

Correct answer: 2. Bullous pemphigoid